Exhumation is usually done in the -
1. Early morning
2. Evening
3. Night
4. Any time

Correct answer: 1. Early morning

Explanation: The whole procedure of exhumation should be conducted and completed in natural day light. Therefore, it is usually started early in morning.